Tardy ulnar nerve palsy caused by -a) Supracondylar #b) Lateral condylar #c) Olecranon #d) Intercondylar #e) Distal radio-ulnar dislocation
1. ac
2. a
3. ab
4. bc

Correct answer: 3. ab

Explanation: Causes of tardy ulnar nerve palsy are : 


Malunited lateral condyle humerus fracture (cubitus valgus) 
Displaced medial epicondyle humerus fracture
Cubitus varus deformity (due to supracondylar fracture humerus)
Elbow dislocation
Contusions of ulnar nerve
Shallow ulnar groove
Hypoplasia of humeral trochlea
Joint deformity after prolonged arthritis of elbow